Thiazides diuretics causes all except:
1. Hyperglycemia
2. Increased calcium excretion
3. Useful in congestive heart failure
4. Decreased uric acid excretion

Correct answer: 2. Increased calcium excretion

Explanation: Ans. (B) Increased calcium excretion(Ref: Katzung 10/e p245, 246, KDt 8e/ p632)Loop diuretics cause hypocalcemia by more excretion whereas thiazides cause hypercalcemia by decreasing its excretion.